Osteoporosis is caused by all except -
1. Methotrexate
2. Glucocorticoids
3. Heparin
4. Estradiol

Correct answer: 4. Estradiol

Explanation: Medications causing osteoporosis are : * Aluminum (in antacids) * Anticoagulants (heparin) * Anticonvulsants * Aromatase inhibitors * Barbiturates * Cancer chemotherapeutic drugs * Cyclosporine A and tacrolimus * Depo-medroxyprogesterone (premenopausal contraception) * Glucocorticoids (>=5 mg/d prednisone or equivalent for >=3 months) * Gonadotropin-releasing hormone antagonists and agonists * Lithium * Methotrexate * Proton pump inhibitors * Selective serotonin reuptake inhibitors * Tamoxifen (premenopausal use) * Thiazolidinediones (such as pioglitazone and rosiglitazone) * Thyroid hormones (in excess) * Parenteral nutrition Reference : page 2490 Harrison's Principles of Internal Medicine 19th edition